Aschoff bodies in Rheumatic heart disease show all of the following features, except -
1. Anitschkow cells
2. Epitheloid cells
3. Giant cells
4. Fibrinoid necrosis

Correct answer: 2. Epitheloid cells

Explanation: Ans. is 'b' i.e., Epitheloid cell